Area under standard normal distribution curve-
1. 0.5
2. 1
3. 1.5
4. 2

Correct answer: 2. 1

Explanation: Ans. is 'b' i.e., 1 Standard normal curve* It is also known as bell curve or Gaussian distribution.* The shape of the curve is like a bell - bell shaped curve.* The data are distributed symmetrically on either side of a central value.* Normal distribution curve looks symmetrical in the dispersion with the largest frequencies in the middle score and tapering down of frequencies towards the highest as well as the lowest score - No tail.* Normal distribution curve is based on mean and standard deviation.* Mean median and mode all coincide - No skew.* Mean = median = mode = 0* Total area of curve is 1.* Its standard deviation is 1.* Variance is 1.